Consecutive optic atrophy is seen in-
1. Papilloedema
2. Papillitis
3. Retinal detachment
4. Retinitis-pigmentosa

Correct answer: 4. Retinitis-pigmentosa

Explanation: Consecutive optic atrophy is seen in retinitis pigmentosa, diffuse chorioretinitis, pathological myopia, CRAO and glaucoma.